Which of the following statement is NOT true about prostatic urethra?
1. Trapezoidal in cross-section
2. Opening of prostatic ducts
3. Presence of verumontanum
4. Contains urethral crest

Correct answer: 1. Trapezoidal in cross-section

Explanation: The lumen of the prostatic urethra, where the colliculus seminalis is located, has cresent appearance in cross section. The main prostatic gland drain into prostatic urethra through 15-30 prostatic ducts. The posterior wall of the urethra forms a longitudinal fold, the urethral crest (UC), which is the reason why the prostatic urethra has a crescent-shaped profile.Verumontanum is an elevation, or crest, in the wall of the urethra where the seminal ducts enter it.Ref: Human Microscopic Anatomy: An Atlas for Students of Medicine and Biology By Radivoj V. Krstic 3rd Ed Page 370